PCT has which type of Aquaporin tubules
1. Aquaporin 1
2. Aquaporin 2
3. Aquaporin 5
4. Aquaporin 9

Correct answer: 1. Aquaporin 1

Explanation: Water is reabsorbed in PCT by Aquaporin 1 water channels (independent of ADH) Ref: Ganong 25th ed/page 680